The phenomenon where subsequent generations are at risk of earlier and more severe disease is known as
1. Anticipation
2. Pleiotropy
3. Imprinting
4. Mosaicism

Correct answer: 1. Anticipation

Explanation: Ref Robbins 9/e p169 Anticipating refers to observation that clinical features of a genetic disease worsen with each successive generations.it is observed in fragile X syndrome and Huntington disease commonly